Fear of height is
1. Acrophobia
2. Agoraphobia
3. Claustrophobia
4. Hapnophobia

Correct answer: 1. Acrophobia

Explanation: Acrophobia- fear of height Agoraphobia- fear of open place Claustrophobia- fear of closed spaces Hapnophobia - fear of touch Ref: FORENSIC MEDICINE AND TOXICOLOGY Dr PC IGNATIUS THIRD EDITION PAGE 361